A 32-year-old man presents for rountine evaluation. He has no symptoms but has noticed some new "nodules" on his legs. Physical examination reveals lumps on his Achillis tendon, yellow lesions around his eyes, and pigmentation of his iris. Which of the following is the most likely diagnosis?
1. familial hyperlipidemia
2. diabetes
3. myxedema
4. chronic renal disease

Correct answer: 1. familial hyperlipidemia

Explanation: (a) Source: (Fuster, pp. 236-237)Early atherosclerosis with tendon xanthomas, xanthelasma, and arcus senilis are characteristics of familial hypercholesterolemia. The disorder is inherited in an autosomal dominant manner.